Posthumous child is one born to a:
1. After mother death
2. After father death
3. Dead born child
4. Both parents death

Correct answer: 2. After father death

Explanation: Ans. (B). After father death(Ref: Essentials of forensic medicine & toxicology, KSN Reddy, 33rd edition; page 396)A posthumous birth is a birth of a child after the death of a biological parent.A person born in these circumstances is called a posthumous child or a posthumously born person.